The Fluoride form that has to be freshly prepared before use is:
1. NaF
2. SnF
3. APF solution
4. APF gel

Correct answer: 2. SnF